Morphine is contraindicated in all of the following
except
1. Pulmonary oedema
2. Emphysema
3. Bronchial asthma
4. Head injury

Correct answer: 1. Pulmonary oedema